Which of the following is not useful in management of meconium aspiration syndrome:
1. Oxygen
2. Ventilatory support
3. Corticosteroids
4. Antibiotics

Correct answer: 3. Corticosteroids

Explanation: Ans. C: Corticosteroids I/V fluids and oxygen are needed for mild distress and ventilatory support for severe cases of meconium aspiration syndrome Antibiotic coverage is needed as meconium invites infection